Behavioural problems caused by senility, drug damage, brain injury or disease, and the toxic effects of poisons are classified as __________ disorders
1. Organic
2. Substance use
3. Psychotic
4. Psychosomatic

Correct answer: 1. Organic

Explanation: Organic brain syndrome, also known as organic brain disease, organic brain disorder, organic mental syndrome, or organic mental disorder, refers to any syndrome or diseaser of mental function whose cause is alleged to be known as organic rather than purely of the mind Ref - https://en.wikipedia.org/wiki/Organic_brain_syndrome